Most sensitive indicator of depletion of intravascular volume in infants is:
1. Cardiac Output
2. Stroke Volume
3. Heart Rate
4. Blood Pressure

Correct answer: 3. Heart Rate

Explanation: The most sensitive indicator of depletion of intravascular volume in infants is the heart rate. Ref: CURRENT Pediatric Diagnosis and Treatment, 18th Edition, Page 375; Practical Pediatrics, 5th Edition, Page 162